In case of Obstructive Jaundice resulting in Cholestasis which of the following enzymes are elevated?
1. Alkaline phosphatase
2. 5' Nucleotidase
3. GGT
4. All the above

Correct answer: 4. All the above

Explanation: Ans. (d) All the aboveRef: Bailey And Love Page 1155* Elevated Bilirubin- Direct in Obstructive Jaundice* Elevated Alkaline Phosphatase- Cholestatic Liver disease or Partial Obstruction.* AST and ALT are elevated in Acute hepatocellular Damage* GGT is elevated in Liver injury due to alcohol